The forensic examination of a rape victim doctors to comment on the size and laxity of the hymen using the finger test is:
1. Can prove the moral character of the victim
2. Can indicate habituation of sexual intercourse
3. Scientifically proved redundant and should not be used
4. Are required by the Indian law

Correct answer: 3. Scientifically proved redundant and should not be used

Explanation: Standard templates for forensic examination have been developed by the Maharashtra and Delhi state governments and the Indian Medical Association. These, however, continue to refer to the "moral character" of a woman by requiring doctors to comment on the size and laxity of the hymen and the finger test indicating "habituation to sexual intercourse." These practices have been proved redundant by science, are prohibited by Indian law, and violate the woman's dignity and rights. The Criminal Law (Amendments) Bill, 2012, widens the scope of the offence of sexual assault. However, the bill fails to deliver on guidelines for medical examination and care of survivors. Ref: Preventing and managing violence against women in India ; Cite this as: BMJ 2013;346:f229; Human Rights Watch. Dignity on trial. 2010. www.hrw.org/reports/2010/09/06/dignity-trial-0; Lawyers Collective. BLOG. Comments on the Criminal Law (Amendment) Bill, 2012. 2012. www.lawyerscollective.org/blog/comments-criminal-law-amendment-bill-2012.html.